Upper covering layer of cochlear duct is
1. Basilar membrane
2. Tectorial membrane
3. Stria vascularis
4. Vestibular membrane

Correct answer: 4. Vestibular membrane

Explanation: Reissner's membrane - between Scala vestibuli & Scala media. Basilar membrane - between scala media & Scala tympani Tectorial membrane - covers the hair cells. Stria vascularis gives the endolymph which is ultrafiltrate of blood.